In Familial hypercholesterolemia there is
1. LDL receptor
2. Apo protein A
3. Apo protein C
4. Lipoprotein lipase

Correct answer: 1. LDL receptor

Explanation: A i.e. LDL receptor